An exaggerated smile line seen in OPG is due to
1. Patient's chin positioned too high
2. Patient's head positioned too far back
3. Patient's chin positioned too low
4. Patient's head positioned too forward

Correct answer: 3. Patient's chin positioned too low